Tear drop sign is seen in :
1. Spina bifida
2. Anencephaly
3. Agenesis of corpus callosum
4. Cystic hygroma

Correct answer: 3. Agenesis of corpus callosum

Explanation: Tear drop sign: Agenesis of corpus callosum. Banana sign: Compression or flattening of the posterior cerebellar surface. Lemon sign: Concave deformity of the frontal bones. Both above banana sign and lemon sign seen in USG in open spina bifida Anencephaly: Absence of calvarium. Spina bifida occulta: Vertebral schisis covered by normal soft tissue. Spina bifida aperta: Full thickness defect of the skin and vertebral arches. Cystic hygroma: Fluid filled sac that results from the obstruction of Lymphatic system. Commonly located in the neck or head area but can be present anywhere in the body. Reference: DC Duttas Textbook of Obs, 9th edition,page no.602.